All the following are causes of vertigo by vestibular origin, except
1. Meniere's disease
2. BPV
3. Vertebrobasilar insufficiency
4. Vestibular neuronitis

Correct answer: 3. Vertebrobasilar insufficiency

Explanation: Vertebrobasilar insufficiency is a central vestibular disorder. There is a transient decrease in blood flow. The main cause is atherosclerosis. Meniere's disease, BPV, vestibular neuronitis are the peripheral vestibular disorders. (Ref: DISEASES OF EAR, NOSE AND THROAT by PL DHINGRA - 6th edition)